Micronutrient associated with rash and diarrhea is:
1. Manganese
2. Copper
3. Zinc
4. Iron

Correct answer: 3. Zinc

Explanation: Acrodermatitis enteropathica is a rare autosomal recessive disorder caused by an inability to absorb sufficient zinc from diet. The cutaneous eruption consists of vesicio-bullous, eczematous, dry scaly or psoriasisiform skin lesions symmetrically distributed in body. Associated manifestations include chronic, stomatitis, glossitis, paronychia and superinfection with candida albicans. Ref: Park 21st edition: page 577.